Chromolacryorrhea is seen in poisoning with:
1. Cobra
2. Organophosphorus
3. Dhatura
4. Carbolic acid

Correct answer: 2. Organophosphorus

Explanation: Ans. Organophosphorus